Scatter diagram is used for -
1. Two plot comulative frequency
2. Relationship between two variables
3. Trend of event with passage of time
4. Symbol used to present data

Correct answer: 2. Relationship between two variables

Explanation: Ans. is 'b' i.e., Relationship between two variables Scatter diagram (Dot diagram)o A scatter diagram is a tool for analyzing relationships between two variables.o One variable s plotted on the horizontal axis and the other is plotted on the vertical axiso The pattern of their intersecting points can graphically show relationship patternso Most often a scatter diagram is used to prove or disprove cause adn effect relationshipso While the diagram shows relationships, it does not by itself prove that one variable causes the other, i.e., scatter diagram only show relationship between cause and effect (change in one will change other), but canot prove the variable as a cause of the other.o Correction and regression are plotted on scatter diagram - Also known as correlation diagram.Fig. Scatter diagram